All the following are contents of cavernous sinus EXCEPT
1. Occulomotor nerve
2. Abducens nerve
3. Mandibular nerve
4. Maxillary nerve

Correct answer: 3. Mandibular nerve

Explanation: Ans. c (Mandibular nerve). (Ref. BD Chaurasia, Anatomy -3rd vol., 3rd ed., 73)Cavernous sinus.AnatomyPathology# Collection of venous sinuses on either side of pituitary.# Blood from eye and superficial cortex drain in cavernous sinus and then internal jugular vein.# CN III, IV, VI, V2, and V and postganglionic sympathetic fibres en route to the orbit all pass through the Cavernous sinus.# Only CN VI is "free -floating".# Cavernous portion of internal carotid artery is also here.# The nerves that control extraocular muscles (plus VI and V2) pass through the cavernous sinus.# Cavernous sinus syndrome (eg.due to mass effect) -- Ophthalmoplegia, ophthalmic & mandibular sensory loss.# Tolasa-Hunt syndrome is idiopathic granulomatous inflammation of cavernous sinus.# MRI is tool of choice for imaging cavernous sinus. Structures Related To Cavernous Sinus: OutsideIn the wallInside1SuperiorOptic tract, ICA, perforate substanceOcculomotorICA2InferiorForamen LacerumTrochlear nerveAbducent nerve3MedialSphenoid sinus, hypophysisOphthalmic nerve 4LateralUncusMaxillary nerve 5AnteriorSuperior orbital fissureTrigeminal ganglion6PostPetrous apex and crus cerebri